Number of health related goals in millennium development goals ?
1. 1
2. 2
3. 3
4. 4

Correct answer: 3. 3

Explanation: 3 of 8 goals (Goal 4, 5, 6) are directly health related.